Severely injured patient with spinal fracture and unconsciousness first thing to be done is -
1. GCS scoring
2. Spinal stabilization by cervical collar
3. Mannitol drip to decrease ICT
4. Airway maintenance

Correct answer: 4. Airway maintenance

Explanation: Airway management is the first priority in trauma patients.